One of the following drug abuse produces a psychosis closely resembling paranoid schizophrenia:
1. Barbiturates
2. Amphetamines
3. Opioids
4. Benzodiazepines

Correct answer: 2. Amphetamines

Explanation: B i.e. Amphetamine Schizophrenia like syndrome may be seen in amphetamine, mescaline, LSD abuseQ and in Hutington chorea (early ), homocystinuria, hemochromatosis, wilson's ds, & acute intermittent porphyria. Dopamine hypothesis of schizophrenia posists that schizophrenia results from too much dopaminergic activity. The drugs that increase dopaminergic activity, notably amphetamineQ are psychotomimetic & 1/t symptoms very similar to paranoid schizophrenia. Drugs which can lit schizophrenia like state (syndrome) AmphetamineQ (most common cause & Vt paranoid hallucinatory syndrome, similar to paranoid schizophreniaQ, release dopamine at CNS) by increasing dopaminergic activity. LSD (serotonin 5HT2 receptor agonist) NMDA receptor antagonist & channel blockers. Phencyclidine and Ketamine Mescaline Cocaine (release dopamine) * NMDA receptor agonist cycloserine reduce negative symptoms. Alcohol hallucinations Barbiturate withdrawal Belladona Substance Characteristic features Cocaine Magnus symptomQ (cocaine bugs or Tactile hallucination)Q Cannabis Run Amok Q A motivation syndrome Flash backs Alcohol Mc-Evan's Sign Q Morbid jealousyQ LSD Bad Trips Q Flash backs Q Amphetamine Paranoid hallucinatory syndrome Q (like paranoid schizophrenia) Phencyclidine (Angel dust) Dissociative Anaesthesia